Lesions associated with vital tooth
1. condensing osteitis
2. cernentoma
3. periapical abscess
4. none of the above

Correct answer: 2. cernentoma